Deletion of one alpha globin gene on one chromosome is best defined as
1. Hb Barts hydrops fetails
2. Alpha thalassemia major
3. Alpha thalassemia trait
4. Alpha thalassemia silent carrier

Correct answer: 4. Alpha thalassemia silent carrier

Explanation: Ans. is 'd' i.e., Alpha thalassemia silent carrier